CBNAAT stands for
1. Cartridge based nucleic acid amplification test
2. Computer based nucleic acid amplification test
3. Chromatograohy based new amino acid test
4. Care based new Amino Acid test

Correct answer: 1. Cartridge based nucleic acid amplification test

Explanation: Cartridge-based nucleic acid amplification test (CBNAAT) is a recently introduced polymerase chain reaction (PCR) based method for detection of TB. It also detects rifampicin resistance as it targets the rpoB gene of mycobacteria. CBNAAT is a Mycobacterium tuberculosis-specific automated, cartridge-based nucleic acid amplification assay, having fully integrated and automated amplification and detection using real-time PCR, providing results within 100 minutes. It is a highly specific test as it uses 3 specific primers and 5 unique molecular probes to target the rpoB gene of M. tuberculosis, which is the critical gene associated with rifampicin resistance.